Which of the following is not a glycerosphingolipid?
1. Lecithin
2. Cardiolipin
3. Plasmalogens
4. Sphingomyelin

Correct answer: 4. Sphingomyelin

Explanation: Phospholipids are :Glycerophospholipids (glycerol containing) :- Phosphatidylcholine (lecithin), phosphatidylethanolamine (cephaline), phosphatidylserine, phosphatidylinositol, plasmalogens, lysophospholipids, cardiolipin.Sphingophospholipids (sphingosine containing) :- Sphingomyeline